Which one of the following is the most suitable situation for prescribing the progestin only pill for the purpose of contraception?
1. Perimenopausal patients
2. Active Liver disease
3. Lactational mother
4. Diabetes

Correct answer: 3. Lactational mother

Explanation: Progestin only pill - advantages 1. Lactating women(most suitable) 2. Older women (>35 year) 3. Diabetic 4. Hypertensive women 5. Sickle cell anemia 6. Focal migraine 7. Intolerant to Oestrogen or Oestrogen Contraindicated